All are true about hormone functions except
1. Thyroid hormones regulate metabolism
2. ADH regulates blood osmolality
3. Insulin regulates blood glucose
4. Cortisol regulates plasma volume

Correct answer: 4. Cortisol regulates plasma volume

Explanation: Cortisol the principal glucocorticoid produced by the zona fasciculata of the adrenal cortex. It promotes gluconeogenesis and lipolysis, suppresses protein synthesis, inhibits inflammatory and immune responses, and has mild mineralocorticoid (for example, hypernatremic, kaliuretic, antidiuretic) effects. Most plasma cortisol is bound to transcortin and albumin. Thyroid hormones are iodothyronines secreted by the thyroid gland, principally thyroxine (tetraiodothyronine or T4) and triiodothyronine (T3).Insulin is a double-chain protein formed from proinsulin in the beta cells of the islets of Langerhans in the pancreas. Insulin promotes the storage of glucose and the uptake of amino acids, increases protein and lipid synthesis, and inhibits lipolysis and gluconeogenesis. play an important role in maintaining normal blood glucose level. Antidiuretic hormone(ADH) a hormone that decreases the production of urine by increasing the reabsorption of water by the renal tubules. It is secreted by cells of the hypothalamus and stored in the neurohypophysis. ADH is released in response to a decrease in blood volume, an increased concentration of sodium or other substances in plasma, pain, stress, or the action of certain drugs.Ref: Ganong's review of medical physiology; 24th edition; page no-362